Oxidation of a molecule involves:
1. Gain of electron
2. Loss of electron
3. Gain of proton
4. Loss of proton

Correct answer: 2. Loss of electron

Explanation: Ans. B. Loss of electrona. Oxidation is the loss of electrons or an increase in oxidation state by a molecule, atom, or ion.b. Reduction is the gain of electrons or a decrease in oxidation state by a molecule, atom, or ion.